Sertoli cells in the testis have receptors for:
1. FSH
2. LH
3. Inhibin
4. GnRH

Correct answer: 1. FSH

Explanation: A i.e. FSH